Thrombocytopenia due to increased platelet destruction is seen in-
1. Aplastic anemia
2. Cancer chemotherapy
3. Acute leukemia
4. Systemic lupus erythematosus

Correct answer: 4. Systemic lupus erythematosus

Explanation: Causes of thrombocytopenia are mainly of four types They are: Impaired platelet production accelerated platelet destruction splenic sequestration dilutional loss under increased platelet destruction, it is mainly of two types 1.immunologic thrombocytopenia Examples include ITP drug induced secondary immune thrombocytopenia like systemic lupus erythematous ,acquired immunodeficiency syndrome ,lymphoma 2.increased consumption Examples include disseminated intravascular coagulation ,giant hemangioma, microangiopathic hemolytic anaemia Reference :textbook of Pathology, 7th edition author Harsha Mohan ,page number 310